Picket fence fever is a feature of -
1. Acute mastoiditis
2. Lateral sinus thrombophlebitis
3. Bell's Palsy
4. Atticoantral CSOM

Correct answer: 2. Lateral sinus thrombophlebitis

Explanation: Ans. B. Lateral sinus thrombophlebitis Ref: Dhingra Sth/e p. 95] Hectic Picket-Fence fi:pe of fever with rigor,